Which of the following deficiency in alcoholics inhibit pyruvate dehydrogenase?
1. Thiamin
2. Niacin
3. Riboflavin
4. Ascorbic acid

Correct answer: 1. Thiamin

Explanation: Arsenite and mercuric ions react with the - SH groups of lipoic acid and inhibit pyruvate dehydrogenase, as does a dietary deficiency of thiamin, allowing pyruvate to accumulate. Many alcoholics are thiamin-deficient (both because of a poor diet and also because alcohol inhibits thiamin absorption), and may develop potentially fatal pyruvic and lactic acidosis. Ref: Harper 28th edition, Chapter 17.